Treatment of choice for phobic disorder is
1. Psychotherapy
2. Behaviour therapy
3. SSRI
4. Benzodiazepam

Correct answer: 2. Behaviour therapy

Explanation: Behaviour therapy is a type of psychotherapy which is based on theories of learning and aim in modifying maladaptive behaviour and substituting it with adaptive behaviour. If properly planned this mode of therapy is usually successful. Important techniques are flooding, systemic desensitisation, exposure and response prevention, relaxation technique (Ref: a short textbook of psychiatry, Niraj Ahuja, 7th edition, pg no.94)